In a Balanced Occlusion, if the incisal guidance is increased, then there is
1. Increased condylar guidance
2. Increased curve of Spee
3. Increased plane of orientation
4. Cuspal height is decreased

Correct answer: 2. Increased curve of Spee